Rosettes found at the lid margin are a feature of:
1. Squamous blepharitis
2. Ulcerative blepharitis
3. Both of the above
4. None of the above

Correct answer: 2. Ulcerative blepharitis

Explanation: Ans. Ulcerative blepharitis